Berry aneurysms are associated with all except:
1. Marfan's syndrome
2. Ehler Danlos syndrome
3. ADPKD
4. None of the above

Correct answer: 4. None of the above

Explanation: Increased risk of Berry aneurysm is seen with :

Marfan's syndrome
Ehler Danlos syndrome
ADPKD
NF-1
Fibromuscular dysplasia